Which of the following is not a cause of the generalized increase in bone density in adults?
1. Myelosclerosis
2. Renal osteodystrophy
3. Fluorosis
4. Caffey's disease

Correct answer: 4. Caffey's disease

Explanation: Caffey's disease (Infantile cortical hyperplasia) causes a generalized increase in bone density in children.
Causes of a generalized increase in bone density in adults:- Myeloproliferative disorders, myelosclerosis, renal osteodystrophy, poisoning (lead), fluorosis, osteoblastic metastasis, lymphoma, mastocytosis, Paget's disease, Metabolic (Hypercalcemia), and idiopathic.